Glomus tumor is seen in -
1. Retroperitoneum
2. Soft tissue
3. Distal portion of digits
4. Proximal portion of digits

Correct answer: 3. Distal portion of digits

Explanation: Ans. is 'c' i.e., Distal portion of digits |Ref: Robbings 8th/ep. 522]o The glomus tumor is a rare and benign vascular neoplasm that arise from the neuroarterial structure called a glomus body. The normal body is located in the dermis throughout the body, but is more concentrated in the digits. They are believed to function in thermal regulation.o The most common site of glomus tumors is subungual and 75% of the lesions occur in the hand,o The lesions present most frequently during the fourth and fifth decade of life although they can be found in any age and at any site.o The subungual tumors affect women three times more commonly than men.o The lesions are usually solitay but mulifocal tumors are also seen,o Clinically, glomus tumors are characterized by a triad of -Sensitivity to cold,Localized tenderness and,Severe intermittent pain.o Grossly, the tumors are usually less than one cm, in size and appear as small red-blue nodules. The lesion appears as a localized dark red or blue lesion beneath the finger nail, but the subnugual lesions can be difficult to detect on clinical examination.o Two usuful tests for diagnosis glomus tumors, particularly solitary painful glomus tumors (especially those under a nail) are the following.Disappearance of pain after application of a tourniquet proximallv on the arm.Eliciting pain by applying pressure to a precise area with the tip of a pencil.o Treatment of glomus tumors consists of surgical excision.